Enzyme used for cDNA synthesis is
1. DNA dependent RNA polymerase
2. DNA dependent DNA polymerase
3. RNA dependent RNA polymerase
4. RNA dependent DNA polymerase

Correct answer: 4. RNA dependent DNA polymerase

Explanation: Complementary DNA (cDNA) DNA that is complementary to RNA Reverse transcriptase (RNA dependent DNA polymerase) is used for the synthesis